Ruffled membrane is seen in -
1. White fibrous cartilage
2. Osteoblast
3. Osteoclast
4. Elastic cartilage

Correct answer: 3. Osteoclast

Explanation: Membrane ruffling (also known as cell ruffling) is the formation of a motile cell surface that contains a meshwork of newly polymerized actin filaments. It can also be regarded as one of the earliest structural changes observed in the cell. The GTP-binding protein Rac is the regulator of this membrane ruffling. Changes in the Polyphosphoinositide metabolism and changes in the Ca2+ level of the cell may also play an important role. A number of actin-binding and organizing proteins localize to membrane ruffles and potentially target to transducing molecules. The characteristic feature of migrating cells Membrane Ruffling is a characteristic feature of many actively migrating cells. When the membrane is unable to attach to the substrate, the membrane protrusion is recycled back into the cell. The ruffling of membranes is thought to be controlled by a group of enzymes known as Rho GTPases, specifically RhoA, Rac1, and cdc42. Robbins 9th edition page no. 29